New Periosteal bone formation can be seen in:
1. Ewing's sarcoma.
2. Caffey disease.
3. Garre's osteomyelitis.
4. All of the above.

Correct answer: 4. All of the above.